0.9% NaCI contains True as?
1. 0.9 gm of Nacl in 1000 ml of fluid
2. 77 meg of sodium is 1000 ml of fluid
3. 154 meg of chloride in 1000 ml of fluid
4. 30 meg of sodium in 1000 ml of fluid.

Correct answer: 3. 154 meg of chloride in 1000 ml of fluid

Explanation: Ans. is 'c' i.e., 154 meq of chloride in 1000 ml of fluid